The most important determinant of prognosis in Wilm's tumor is -
1. Stage of disease
2. Loss of heterozygosity of chromosome Ip
3. Histology
4. Age less than 1 yr at presentation

Correct answer: 3. Histology

Explanation: Ans. is 'c' i.e. Histology "The histology of Wilm's tumor was identified as the most important determinant of prognosis." - Devita's Cancer